Which among the following is a depolarising muscle relaxant-
1. Decamethonium
2. D tubocurarine
3. Doxacurium
4. Atracurium

Correct answer: 1. Decamethonium

Explanation: Ans. is 'a' i.e., Decamethonium SKELETALMUSCLERELAXANTSo Skeletal muscle relaxants are drugs that act peripherally at neuromuscularjunction/rnuscle fibre itself or centrally in the cerebrospinal axis to reduce muscle tone.o The neuromuscular blocking agents are used primarily in conjuction with general anaesthetics to provide muscle relaxation for surgery, while centrally acting muscle relaxants are used mainly for painful muscle spasms and spastic neurological conditions.Muscle relaxantsPeripherally acting Centrally' acting o Mephenesin congenersy Mephensiney Carisoprodoly Chlorzoxazoney Chlormezanoney Methocarbamolo Benzodiazepinesy Diazepamo GABA derivativesy Baclofeno Central a2 - agonisty TizanidineNeuromuscular blocking agentsDirectly acting agents o Dantrolene sodiumo QuinineNondepolarizing (competitive) blockersDepolarizing blockersa) Long acting -d. tubocurarine. Pancuronium, Doxacurium, Pipecuroniumo Succinylcholineo Decamethoniumb) Intermediate acting-- Vecuronium, Atracurium,cisatracurium, Rocuronium, Rapacuroniumc)Short acting-Mivacuriumo Competitive (nondepolarizing) blockers are of two types1. Benzylisoquinolone derivativesThis includes - d-TC, doxacuriuin, atracurium, cisatracurium, mivacurium, metocurine.These drugs have tendency to release histamine and to block autonomic ganglion.2. Amminio steroid derivativesThis include pancuronium, rocuronium, vecuronium, pipecuronium, rapacuronium.These drugs do not block autonomic ganglia and have minimal histamine releasing property.